Which is the most common micro-organism known to cause tropical pyomisitis ?
1. Streptococcus viridans
2. Staphylococcus albus
3. Klebsiella pneumoniae
4. Staphylococcus aureus

Correct answer: 4. Staphylococcus aureus

Explanation: Ans. is 'd' i.e., Staphylococcus aureus